Find the false statement regarding megaloblastic anemia.
1. Macro-polycytes
2. Reduced reticulocyte count
3. Hypercellular bone marrow
4. MCHC is increased

Correct answer: 4. MCHC is increased

Explanation: Macro-polycytes (large hypersegmented neutrophils) seen in megaloblastic anemia MCHC is calculated by dividing MCH with MCV. Since both parameters are increased proportionately in megaloblastic anemia, MCHC remains normal. Thus, option 4 is wrong. Remaining all features given in options can be seen in Megaloblastic anemia Note: Increase in MCHC occurs only in hereditary spherocytosis